Drug not acting on P2y12 receptor is ?
1. Ticlopidine
2. Clopidrogel
3. Dipyridamole
4. Prasugrel

Correct answer: 3. Dipyridamole

Explanation: Ans. is 'c' i.e., Dipyridamole Dipyridamole: inhibits phosphodiesterase as well as blocks uptake of adenosine to increase platelet cAMP which in turn potentiates PGI2 and interferes with aggregation. Ticlopidine, Clopidogrel and prasugrel act on the P2y12 receptor and inhibits ADP as well as fibrinogen induced platelet aggregation. Note: Prasugrelis the latest most potent and fastest acting P2Y12 purinergic receptor blocker. It is used in acute coronary sydromes and when strong antiplatelet action is required).